Endogenous wear and tear pigment is
1. Melanin
2. Haemosiderin
3. Bilirubin
4. Lipofuscin

Correct answer: 4. Lipofuscin